All of the following statements about Non Alcoholic Fatty Liver disease are true, except:
1. Common in Diabetics
2. Clofibrate provides effective treatment
3. Commonest cause of cryptogenic cirihosis
4. Associated with elevated transminases

Correct answer: 2. Clofibrate provides effective treatment

Explanation: Answer is B (Clofibrate provides effective treatment): Non Alcoholic fatty Liver Disease (NAFLD) is common in Diabetics Commonest Associations of NAFLD / NASH (Robbins) Obesity Dyslipidemia Hyperinsulinemia (Insulin resistance is a charachteristic.feature2) Diabetes NAFLD is believed to be the commonest cause of cryptogenic cirrhosis NAFL is now considered the most common cause of 'ctyptogenic cirrhosis' - Robbins 7th/908 Spectrum of NAFLD Simple steatosis (Early) Steatohepatitis (NASH) : Non Alcoholic Steatohepatitis) (Intermediate) Fibrosis and cirrhosis (Advanced) NAFLD is associated with elevated transminases (transaminitis) 'Most patients with NAFLD come to medical attention as a result of incidentally elevated liver enzymes' - Harrison ALT > AST Aminotransferases are usually only mildly elevated 2 times normal